A 62-years old diabetic female patient presented with history of progressive right-sided weakness of one month duration. The patient was also having speech difficulty. Fundus examination showed papilledema. Two months ago, she also had a fall in her bathroom and struck her head against a wall. The most likely clinical diagnosis is:
1. Alzheimer's disease
2. Left parietal glioma
3. Left MCA territory stroke
4. Left chronic subdural hematoma

Correct answer: 4. Left chronic subdural hematoma

Explanation: Ans. (d) Left chronic subdural hematoma Chronic SDH:* Collection of blood at least 2-3weeks old.* Clear history of minor trauma will be present.* Alcoholics, elderly and patients on Anticoagulation are on risk of developing Chronic SDH* Patients will present with headache, seizures, confusion and CVA or ComaTreatment is by simple Burr hole.